A Trained birth attended is for a population of:
1. 1000
2. 5000
3. 30000
4. 100000

Correct answer: 1. 1000

Explanation: National target: 1 TBA per village (1000 rural population) Traditional birth attendant (TBA) Location - village level Population norm - 1/1000 Education - NO Training at : PHC, sub - centre or MCH centre (30 working days: has to conduct 2 supervised deliveries) Duties of TBAs: 1) Conduct home deliveries in aseptic manner 2) Reduce IMR and MMR 3) Registration of both mother and child at sub - centre / PHC 4) Propagate small family norm.